In primary dentition the anatomic structure used to
determine the molar relationship
1. Mesio buccal cusp of primary 2nd molar
2. Distal plane of primary 1st molar
3. Mesial surface of primary 1st molar
4. Distal plane of primary 2nd molar

Correct answer: 4. Distal plane of primary 2nd molar